Leucocyte alkaline phosphatase (LAP) is raised in all conditions except:
1. Myelofibrosis
2. Essential thrombocythemia
3. Chronic myeloid leukaemia
4. Polycythemia

Correct answer: 3. Chronic myeloid leukaemia

Explanation: Low LAP scores have been associated with CML, PNH, thrombocytopenic purpura, and hereditary hypophosphatasia. In CML regardless of the total white count, the score remains low.